Mitochondria are involved in all of the following EXCEPT:
1. ATP production
2. Apoptosis
3. Tri-carboxylic acid cycle
4. Cholesterol synthesis

Correct answer: 4. Cholesterol synthesis

Explanation: The biochemical processes taking place in mitochondria are all catabolic pathways and vital pathways i.e. TCA and ETC Replication, Transcription and Translation for mitochondrial DNA Apoptosis Cholesterol synthesis is anabolic pathway, so it occurs in cytoplasm (option 4)